A HIV positive individual having diarrheal episodes stool examination reveals on oocyst of size 8-10 Micron, what could be the diagnosis?
1. Cyclospora
2. Cryptococcus
3. Cryptosporidium parvum
4. Isospora

Correct answer: 1. Cyclospora

Explanation: Parasites Size of oocyst Cryptosporidium parvum 4-6 micron Cyclospora 8-10 micron Isospora 23-36 micron They all are acid fast so the appear similar in colour under acid fast stain. So, size of oocyst is used to identify them.